Drug not used in SIADH is :
1. Demeclocycline
2. Desmopressin
3. Restriction of free water intake
4. 3% NaCl

Correct answer: 2. Desmopressin